Giant cell tumor is seen at
1. Epiphysis
2. Metaphysis
3. Diaphysis
4. Growth plate

Correct answer: 1. Epiphysis

Explanation: Giant cell tumour also known as osteoclastoma usually orginate from epiphysis of long bones close to articular cartilage. Most common site of involvement are lower end of femur and upper end of tibia. Clinical features include noticeable swelling and pathological fracture. Soap bubble appearance is seen in it. Reference..Harsh mohan textbook of pathology The muskuloskeletal system ref img